Common sites for Cushing ulcers include all of the following except:
1. Esophagus
2. Stomach
3. 1St part of duodenum
4. Distal duodenum

Correct answer: 4. Distal duodenum

Explanation: Answer is D (Distal Duodenum) Distal duodenum has not been mentioned on a site for cushing ulcers Cushings ulcers: Are acute ulcers of the upper GI tract associated with intracranial injury or an increase in intracranial pressure. These ulcers my involve the StomachQ Proximal duodenum e Esophagus Q Complication : Haemorrhage and perforationQ Treatment: Correction of increased intracranial pressure + usual treatment of acute erosions and ulceration. Memo: Curling's ulcers : Stress ulcerations after severe burns -